Which of the following is not a selective media
1. Blood agar
2. Thayer martin media
3. Wilson blair media
4. LJ media

Correct answer: 1. Blood agar

Explanation: A selective media is composed of specific ingredients to inhibit the growth of certain species of microbes in a mixed culture while allowing others to grow. Ref ananthnarayana and panikers microbiology textbook 8/e